Most distinguishing feature between skeletal muscle and smooth muscle
1. Troponin
2. Tropomyosin
3. Myosin
4. Actin

Correct answer: 1. Troponin

Explanation: Troponin is the calcium binding protein in the Skeletal muscle. In smooth muscle, calmodulin is the calcium binding protein. (REF: TEXTBOOK OF MEDICAL PHYSIOLOGY GEETHA N 2 EDITION, PAGE NO - 40,59)